The esophagus crosses the diaphragm at the level of:
1. T8
2. T9
3. T10
4. T11

Correct answer: 3. T10

Explanation: The oesophagus is a muscular tube 25 cm (10 in) long, which connects the pharynx to the stomach. It begins in the neck, level with the lower border of the cricoid cartilage and the sixth cervical vertebra. It descends largely anterior to the vertebral column through the superior and posterior mediastina, passes through the diaphragm, level with the tenth thoracic vertebra, and ends at the gastric cardiac orifice level with the eleventh thoracic vertebra.